Presence of decubitus ulcer in prolapse indicates:
1. Infection
2. Malignancy
3. Circulatory disturbances
4. Machanical trauma

Correct answer: 3. Circulatory disturbances

Explanation: Circulatory disturbances